Most common type of Congenital cataract with significant visual disability
1. Blue dot Cataract
2. Lamellar Cataract
3. Nuclear Cataract
4. Posterior sub capsular Cataract

Correct answer: 2. Lamellar Cataract

Explanation: Most common type of Congenital cataract is blue dot Cataract.
Most common type of Congenital cataract with significant visual disability Lamellar Cataract.